Traumatic dislocation of hip is characterized by
1. Adduction internal rotation deformity
2. Abduction external rotation deformity
3. Adduction external rotation deformity
4. Abduction internal rotation deformity

Correct answer: 1. Adduction internal rotation deformity

Explanation: A i.e. Adduction internal rotation deformity